Crocodile tears are seen in-
1. Frey's syndrome
2. Conjunctivitis
3. Lacrimal tumour
4. Abnormal VII nerve regeneration

Correct answer: 4. Abnormal VII nerve regeneration

Explanation: Crocodile tears are seen in abnormal regeneration of 7th nerve.
It is one of the complication following facial nerve palsy. It is characterized by lacrimation with mastication and is due to faulty regeneration of parasympathetic fibers which now supply lacrimal gland instead of salivary glands.